Optic neuritis is a side effect of:
1. Rifampicin
2. INH
3. Pyrazinamide
4. Ethambutol

Correct answer: 4. Ethambutol